Fluctuating deafness is seen in:
1. Otosclerosis
2. Meniere's disease
3. Acute otitis media
4. Benign paroxysmal positional vertigo

Correct answer: 2. Meniere's disease

Explanation: (b) Meniere's disease(Ref. Cummings, 6th ed., 2331)In otosclerosis there occurs progressive deafness. AOM shows temporary deafness. There is no deafness in BPPV.